Irresistable urge to move about with inner restlessness is called
1. Akinesia
2. Hyperkinesia
3. Dyskinesia
4. Akathisia

Correct answer: 4. Akathisia

Explanation: D i.e. Akathisia